Heparin is the commonly used anticoagulant in cardiac surgery.All of the following are true about heparin EXCEPT:
1. Weakest acid found in living being
2. Most commercial preparations of heparin are derived from pig intestine
3. Acts antithrombin activation
4. Produce thrombocytopenia

Correct answer: 1. Weakest acid found in living being

Explanation: Heparin is the strongest acid in the body. All the other statements about heparin are true. From medical pharmacology padmaja 4th edition Page no 334